Which of the following penicillins can be given by i.v. route?
1. Benzathine
2. Procaine
3. Crystalline
4. All of the above

Correct answer: 3. Crystalline

Explanation: Preparations and dose
Sod. penicillin G (crystalline penicillin) injection 0.5-5  MU i.m./i.v. 6-12 hourly. It is available as dry powder in vials to be dissolved in sterile water at the time of injection.
BENZYL PENICILLIN 0.5. 1 MU inj
Repository penicillin G injections: These are insoluble salts of PnG which must be given by deep i.m. (never i.v.) injection. They release PnG slowly at the site of injection, which then meets the same fate as soluble PnG.

Procaine penicillin G inj: 0.5-1 MU i.m. 12-24 hourly as aqueous suspension. Plasma concentrations attained are lower, but are sustained for 12-24 hours; PROCAINE PENICILLIN-G 0.5, 1 MU dry powder in vial.
Fortified procaine penicillin G inj: Contains 3 lac U procaine penicillin and 1 lac U sod. Penicillin G to provide rapid as well as sustained blood levels. FORTIFIED P.P. INJ 3+1 lac U vial: BISTREPEN 6+4 lac U/vial.
Benzathine penicillin: 0.6-2.4 MU i.m. every 2-4 weeks as aqueous suspension. It releases penicillin extremely slowly-plasma concentrations are very low, but remain effective for prophylactic purposes for up to 4 weeks; PENIDURE-LA (long acting), LONGACILLIN, 0.6,1.2, 2.4 MU as dry powder in vial.

Reference: Essentials of Medical Pharmacology Eighth Edition KD TRIPATHI page no 769